The most common presentation of IgA nephropathy is -
1. Nephritic syndrome
2. Nephrotic syndrome
3. Microscopic hematuria
4. Repeated gross hematuria

Correct answer: 4. Repeated gross hematuria